Which of the following does not conduct spermatozoa?
1. Ampulla of the ductus deferens
2. Duct of the seminal vesicle
3. Epididymis
4. Prostatic Urethra

Correct answer: 2. Duct of the seminal vesicle

Explanation: The duct of the seminal vesicle carries seminal fluid, a basic fluid containing fructose. The contents of the seminal fluid buffers the acid in the vagina and provides nutrients for sperm. The duct of the seminal vesicle joins with the ampulla of the ductus deferens (which is carrying sperm) to form the ejaculatory duct. This is the first place where seminal fluid mixes with sperm. Sperms are first formed in the seminiferous tubules. They then travel from the head to the tail of the epididymis, through the ductus deferens, into the ejaculatory duct where they mix with seminal fluid, into the prostatic urethra, through the rest of the urethra, and then out the penis. So, all of the other answer choices are places that are important for the passage of sperm. Ref: Hoffman B.L., Schorge J.O., Schaffer J.I., Halvorson L.M., Bradshaw K.D., Cunningham F.G., Calver L.E. (2012). Chapter 19. Evaluation of the Infertile Couple. In B.L. Hoffman, J.O. Schorge, J.I. Schaffer, L.M. Halvorson, K.D. Bradshaw, F.G. Cunningham, L.E. Calver (Eds), Williams Gynecology, 2e.